Association fibers are A/E -
1. Uncinate
2. Cingulum
3. Longitudinal fasciculus
4. Forceps major

Correct answer: 4. Forceps major